Height and weight correlation is best represented by:-
1. Line chart
2. Scatter diagram
3. Histogram
4. Pie chart

Correct answer: 2. Scatter diagram

Explanation: Height & weight are quantitative / continuous variables. Correlation is relationship between 2 quantitative or continuous variables. Correlation is represented by: 'Scatter diagram'/ DOT diagram. - Thus, correlation b/w height & weight is depicted by scattered / Dot diagram.